Which of the following anti-hypertensive drug is contraindicated in the treatment of hypertension during pregnancy?
1. Nifedipine
2. Captopril
3. Methyldopa
4. Hydralazine

Correct answer: 2. Captopril

Explanation: Captopril is an ACE Inhibitor, which is contraindicated in pregnancy. Fetal and neonatal complications associated with its use during pregnancy are hypotension, growth retardation, oligohydramnios, anuria, acute renal failure, malformations, stillbirth, and neonatal death. Ref: COBGDT, 9th Edition, Pages 850-852